In TGA, position of aorta is
1. Posterior and left to pulmonary artery
2. Posterior and right to pulmonary artery
3. Anterior and left to pulmonary artery
4. Anterior and right to pulmonary arteryTA PVC

Correct answer: 4. Anterior and right to pulmonary arteryTA PVC

Explanation: Ans. is 'd' i.e., Anterior and right to pulmonary artery o In TGA aorta lies anterior and to the right of pulmonary artery.